Max. Joseph's space is a histopatho-logical feature of -
1. Psoriasis vulgaris
2. Lichen planus
3. Pityriasis rosea
4. Parapsoriasis

Correct answer: 2. Lichen planus

Explanation: Lichen planus in histopathology shows thickened granular layer , saw toothing of rete ridges , basal cell degeneration ( leading to Max Joseph s spaces and colloid/ Civatte body formation) and a band like upper dermal infiltrate of lymphocytes. IADVL TEXTBOOK OF DERMATOLOGY PAGE 1070